All are fibrinolytic, EXCEPT :
1. Streptokinase
2. Urokinase
3. Alteplase
4. Epsilon amino caproic acid

Correct answer: 4. Epsilon amino caproic acid

Explanation: Ans. is 'd' Epsilon amino caproic acid Antifibrinolytic drugs are :Tranexamic acid*Epsilon aminocaproic acid*Aprotinin*Fibrinolytic drugs are : ,Streptokinase*Urokinase*rt-PA (Alteplase)*